During week 2 of development, the embryoblast receives its nutrients
1. Diffusion
2. Osmosis
3. Reverse osmosis
4. Fetal capillaries

Correct answer: 1. Diffusion

Explanation: During week 2 of development, the embryoblast receives its nutrients from endometrial blood vessels, endometrial glands, and decidual cells diffusion. Diffusion of nutrients does not pose a problem, given the small size of the blastocyst during week 2. Although the beginnings of a uteroplacental circulation are established by end of week 2, no blood vessels have yet formed in the extraembryonic mesoderm to carry nutrients directly to the embryoblast (this occurs in week 3 - day17).